Patient with hepatic insufficiency is being planned for surgery. Which vitamin deficiency has to be treated first?
1. Vitamin A
2. Vitamin D
3. Vitamin K
4. Vitamin E

Correct answer: 3. Vitamin K

Explanation: ANSWER: (C) Vitamin KREF: Harrison's 18th ed chapter 302Vitamin K deficiency in adults may be seen in patients with chronic small-intestinal disease (e.g., celiac disease, Crohn's disease), in those with obstructed biliary tracts, or after small-bowTel resection.Patients with liver disease may have an elevated prothrombin time because of liver cell destruction as wrell as vitamin K deficiency. If an elevated prothrombin time does not improve on vitamin K therapy, it can be deduced that it is not the result of vitamin K deficiency.